In a population of 100 prevalence of candida glabrata was found to be 80%. If the investigator has to repeat the prevalence with 95% confidence what will the prevalence be
1. 78-82%
2. 72-88%
3. 76-84%
4. 74-86%

Correct answer: 2. 72-88%

Explanation: Confidence Intervals for Population proportions (For 95% Confidence)
CI = P + 2 SEP = P + 2 √pq/n
Here, P=0.80 (80%); p=0.80;
q= 1-p = 1-0.80 = 0.20;
n=100 CI = 0.80 + 2 √0.8*0.2/100
= 0.80 + 0.08
= 0.72, 0.88 (72%, 88%)